True statement regarding portal venous system is?
1. Valves are present at the junction of superior mesenteric artery and splenic artery
2. Whole system is valve less
3. Valves are present in the intrahepatic system
4. There are about 10-12 valves along the entire course

Correct answer: 2. Whole system is valve less

Explanation: Whole system is valve less REF: BDC 4th edition vol II p. 268-71, Gray's Anatomy 39th edition p. 1218 In adults, the portal vein and its tributaries have no valves. In fetal life and for a short postnatal period valves are d emonstrable in its tributaries, but they usually atrophy. Rarely some persist in an atrophic form into adulthood.